The term "Ambivalence" was coined by -
1. Hippocrates
2. Eugen bleuler
3. Kraeplin
4. Sigmund freud

Correct answer: 2. Eugen bleuler